In an ablated animal, myeloid series cells are injected. Which of following is sen after incubation period -
1. RBC
2. Fibroblast
3. T lymphocytes
4. Hematopoetic stem cell

Correct answer: 1. RBC

Explanation: Answer: RBC Explanation: The hematopoietic stem cells differentiate into two progenitors: Common lymphoid progenitors: They can generate B lymphocytes, T lymphocytes and NK cells. Common myeloid progenitors: They can generate red cells, platelets, granulocytes, monocytes, dendritic cells and macrophages. Important point: The hematopoietic stem cells are not present because animal is ablated. Thus bone marrow cannot be reconstituted i.e., mature blood cells of other lineage cannot be generated. medicaltalk. net>mcq>pathology. Aiims question